Selective media for N. gonorrhoeael
1. Thayer martin media
2. Smith Noguchi media
3. Proskaur and Bech media
4. Bordet gongue media

Correct answer: 1. Thayer martin media

Explanation: Ans. a (Thayer-Martin media). (Ref Anantanarayan, Microbiology, 8th/ p. 226).# A popular selective medium for N. gonorrhoeae (gonococci) is Thayer-Martin medium containing vancomycin, colistin, and nystatin.# They also grow well on chocolate agar and Mueller Hinton agar.Bacteria and their growth mediaOrganismMedium usedStaphylococcusLudlam's mediumStreptococcusBlood Agar, Pikes medium (transport)NeisseriaBlood agar, Chocolate agarMueller-Hinton star caesin hydrolysate agar, Modified Thayer-MartinGonococciStuart Transport MediumCorynebacterium diphtheriaeLoeffler's serum slope, Tellurite blood agar, MacLeod and Hoyle's mediaLactose and nonlactose fermentersMacConkey mediumShigellaDeoxycholate citrate agarShigella Inhibited byWilson and Blair's bismuth sulphite mediumSalmonellaWilson and Blair's bismuth sulphate mediumHaemophilusFactor X Hemin, Factor V NADP, Levinthal's Medium, Filde's agarVibrio CholeraHolding or Transport Media1) VR-Venkatraman RamaKrishnan Medium2) Cary-Blair Medium3) Autoclaved Sea WaterEnrichment-Media1) Alkaline peptone water at pH 8.62) Monsur's taurocholate tellurite peptone water at pH 9.2, Plating Media3) TCBS medium contains thiosulfate, citrate, bile salts and sucroseHaemophilusStalactite growthBordetellaBordet-Gengou glycerine-potato-blood agarBrucellaCastaneda's method of blood cultureListeriaTryptose phosphate or thioglycollate broth at 4degCCalymmatobacteriumLevinthal agarCampylobacterMicroaerophilic 5% oxygen, Cary BlairSkirrow's, Butzler's or campy BAP Selective mediaLegionellaBCYE Agar (Buffered Charcoal yeast extract)TuberculosisEgg containing: 1) Lowenstein-Jensen (LJ), 2) Petragnini, 3) DorsetContain Blood: 1) TarshisContaining Serum:l) LoefflerContaining Potato: 1.) PawolowskyLiquid Media: 1). Dubo's Medium, 2) Middlebrook's Medium, 4) Sula's Medium 3) Pros Kauer and Beck's Medium, 5) Sauton's MediumSpirochetesComplex MediaLeptospirosis1) Korthoff's media2) Stuart and Fletcher's media3) EMJH (Ellinghausen, McCullough, Johnson, Harris)Bacillus anthracisPLET mediumClostridiaRobertson's cooked meat brothClostridium tetaniFilde's techniqueAnaerobic bacteriaGaspakMycoplasmaLipids/Cholestrol enhances their growth; Diene's methodRickettsiaVolk sac of developing chick embryoChlamydiaCell culture (McCoy & Hela Cells commonly used)